Thickness of placental barrier in early pregnancy
1. 0.5 mm
2. 0.05 mm
3. 0.025 mm
4. 0.25 mm

Correct answer: 3. 0.025 mm

Explanation: Placental barrier in early pregnancy consists of Synctiotrophoblast Cytotrophoblast Basement membrane Stromal tissue Endothelium of fetal capillary wall It is about 0.025 mm thick Ref: Dutta Obs 9e pg 30.